Trombiculid mite can transmit
1. Indian tick typhus
2. Q. fever
3. Relapsing fever
4. Scrub typhus

Correct answer: 4. Scrub typhus